A testicular tumor in a man aged 60 years is; most likely to be -
1. Germ cell tumor
2. Sertoli cell tumor
3. Teratocarcinoma
4. Lymphoma

Correct answer: 4. Lymphoma

Explanation: "Lymphoma is the most common testicular tumor in a patient over the age of 50 and is the most common secondary neoplasm of the testis" - Smith's Urology